Supra zygomatic fracture is:
1. Lefort1.
2. Lefort2.
3. Lefort3.
4. Mandibular fracture.

Correct answer: 3. Lefort3.